Bronchiolitis abliterans is suggested by all except
1. Hyperlucency on chest X-ray
2. Obstructive curve on pulmonary function test
3. Sequelae of Adenovirus infection
4. Diffuse infiltrates seen on chest X-ray

Correct answer: 4. Diffuse infiltrates seen on chest X-ray

Explanation: There is patchy infiltrates in Bronchiolitis obliterans.